The most common organ involved in MEN-1 is:
1. Parathyroid
2. Thyroid
3. Adrenal
4. Testis

Correct answer: 1. Parathyroid

Explanation: Most common endocrine abnormality ( more than 98% of affected individuals) in MEN1 is multiglandular parathyroid tumours.